Virus quantification is done by -
1. Egg inoculation
2. Hemadsorption
3. Plaque assay
4. Electron microscopy

Correct answer: 3. Plaque assay

Explanation: Quantitative assays measure the actual number of infectious particles in the inoculum. Two methods available-plaque assay and pock assay. REF:ANATHANARAYAN AND PANIKER'S TEXTBOOK OF MICROBIOLOGY 8TH EDITION PAGE NO:437